Characteristic radiological finding in sarcoidosis-
1. Parenchymal disease
2. Unilateral hilar lymphadenopathy
3. Bilateral hilar lymphadenopathy
4. Miliary shadow

Correct answer: 3. Bilateral hilar lymphadenopathy

Explanation: Ans. is 'c' i.e., Bilateral hilar lymphadenopathy "The characteristic radiologicalfinding in patients with pulmonary sarcoidosis is bilateral hilar lymphadenopathy ".